Sense organ for hearing is -
1. Organ of Corti
2. Cristae
3. Macula
4. None

Correct answer: 1. Organ of Corti